Which of the following drug causes hemolytic anemia in glucose–6–phosphate dehydrogenase deficient individual?
1. Chloramphenicol
2. Acetaminophen
3. Prednisolone
4. Griseofulvin

Correct answer: 1. Chloramphenicol